Enalapril increases the level of:
1. Interferon
2. Growth factors
3. Bradykinin
4. All of the above

Correct answer: 3. Bradykinin

Explanation: Enalapril is an ACE inhibitor and the adverse effect profile of all ACE inhibitors is similar. One side effect is cough in the patients taking ACE inhibitor.
A persistent brassy cough occurs  in 10- 16% patients within 1- 8  weeks, often requires discontinuation of the drug-subsides 4- 6 days thereafter. It is not dose related and appears to be  caused by inhibition of bradykinin/substance P breakdown (which leads to increase in levels of Bradykinin)  in the lungs of susceptible individuals.
Reference: Essentials of Medical Pharmacology Eighth Edition KD  TRIPATHI  page no 531